The virus which causes Herpes Zoster is same as that which causes
1. Herpes simplex
2. Herpangina
3. Chicken pox
4. Measles

Correct answer: 3. Chicken pox